A most common cause of Nephrotic Syndrome in children –
1. Minimal change disease
2. IgA nephropathy
3. Mesangial GN
4. FSGN

Correct answer: 1. Minimal change disease

Explanation: Minimal Change Disease is the most common cause of Nephrotic syndrome in children.